which of the following antidepressent is called as zyban
1. amitriptilline
2. bupropion
3. fluoxetine
4. mirtazapine

Correct answer: 2. bupropion

Explanation: NDRI * IMPORTANCE Anti-depressant which does not deal with serotonin neurotransmission Also called as Zyban * MECHANISM Prevents reuptake of nor adrenaline and dopamine * DRUGS Bupropion * USE ADHD SMOKING CESSATION HYPOACTIVE SEXUAL DESIRE DISORDER * SIDE EFFECTS seizures Ref. kaplon and sadock, synopsis ofpsychiatry, 11 th edition, pg no. 955